A 65-year-old woman presents with complaints of pain and swelling over the inner aspect of right eye for the past two days. Examination of the eye reveals tenderness, edema, and redness over the medial canthus. Slight pressure over the area causes expression of purulent material. Visual acuity is normal. What is the most likely diagnosis in this patient?
1. Episcleritis.
2. Dacryocystitis.
3. Hordeolum.
4. Chalazion.

Correct answer: 2. Dacryocystitis.

Explanation: Dacryocystitis is infection of the lacrimal sac. It usually occurs in infants and adults over the age of 40. Acute dacryocystitis is characterized by sudden onset of pain and redness in the medial canthal region. Sometimes a purulent discharge is noted from the punctum. A few patients' present with fever, prostration, and elevated leukocyte count. Staphylococcus aureus and beta hemolytic streptococci are the usual infecting organisms. It usually responds to systemic antibiotic therapy.